A mixture of rain and snow is called –
1. Glaze
2. Frost
3. Shower
4. Sleet

Correct answer: 4. Sleet